Single best parameter to assess gestational age in first trimester?
1. CRL (Crown Rump Length)
2. BPD (Biparietal diameter)
3. HC (Head Circumference)
4. FL (Femur Length)

Correct answer: 1. CRL (Crown Rump Length)

Explanation: Best parameter to assess gestational age- First trimester - CRL (Crown Rump Length) Second trimester - BPD (Biparietal Diameter) Third trimester - BPD (Biparietal Diameter) Best Overall - CRL (Crown Rump Length)